The major antigenic determinant of H. influenzae is-
1. 'M' protein
2. Capsular polysaccharide
3. Catalase
4. Coagulase

Correct answer: 2. Capsular polysaccharide